Fomepizole acts as antidote for ?
1. Methanol poisoning
2. Cannabis poisoning
3. Lead poisoning
4. Cadmium Poisoning

Correct answer: 1. Methanol poisoning

Explanation: Ans. is 'a' i.e., Methanol poisoning Methanol is highly toxic alcohol. It is metabolized to formaldehyde (by alcohol dehydrogenas) and formic acid (by acetaldehyde dehydrogenase). It is the accumulation of formic acid which causes toxic effects in methanol poisoning. Accumulation of formic acid results in lactic acidosis/high anion gap metabolic acidosis with low plasma bicarbonates, blindness due to retinal damage, papilledema. Methanol poisoning can be treated by supportive measures, gastric lavage and sodium bicarbonate (to treat acidosis). Ethanol is useful because it competitively inhibits the conversion of methanol to formic acid. Fomepizole can also be used as it is a specific inhibitor of alcohol dehydrogenase. Folic acid or folinic acid. Enhance the metabolism formic acid to CO2. Hemodialysis may also be used.